Vitamin B12 deficiency has A/E
1. Folate trap
2. Decreased methyl malonyl CoA
3. SACD
4. Megaloblastic anemia

Correct answer: 2. Decreased methyl malonyl CoA

Explanation: B i.e. Decreased methylmalonyl CoA